Sensation transmitted by pacinian corpuscles is:
1. Cold
2. Warmth
3. Touch
4. Vibration

Correct answer: 4. Vibration

Explanation: Ans. D. VibrationSENSE ENDINGS ACTIVATEDPain Cutaneous nociceptorsTemperature, heat Cutaneous thermoreceptors for hotTemperature, cold Cutaneous thermoreceptors for coldTouch Cutaneous mechanoreceptors, also naked endingsVIBRATION Mechanoreceptors, especially PACINIAN CORPUSCLES (Pressure also) QJoint position Joint capsule and tendon endings, muscle spindles